Which of the following anticancer drug is excreted by lungs?
1. 5-Fluorouracil
2. Cyclophosphamide
3. Doxorubicin
4. Cisplatin

Correct answer: 1. 5-Fluorouracil

Explanation: Fluorourri ul U, -FU) is converted in the body to the corresponding nucleotide 5-fluoro-2-deoxyuridine monophosphate, which inhibits thymidylate synthase and blocks the conversion of deoxyuridilic acid to deoxythymidylic acid. Metabolites are primarily excreted through the lungs as carbon dioxide. A small portion of a dose is excreted in urine as unchanged drug ESSENTIALS OF MEDICAL PHARMACOLOGY K.D.TRIPATHI SIXTH EDITION PAGE NO:824